According to European laryngeal Society classification, subligamental endoscopic cordectomy is which of the following types?
1. Type I
2. Type II
3. Type III
4. Type IV

Correct answer: 2. Type II

Explanation: Classification of endoscopic cordectomy: Type I : Subepithelial cordectomy Type II : Subligamental cordectomy Type III: Transmural cordectomy Type IV: Total cordectomy Type V : Extended cordectomy Type VI : Anterior commisurectomy with bilateral anterior cordectomy